Not true regarding meibomian glands
1. Arranged vertically
2. More in upper lid than in lower lid
3. Modified sebaceous glands
4. Open in follicles of eyelashes

Correct answer: 4. Open in follicles of eyelashes

Explanation: * Meibomian glands open in eyelid margins Meibomian glands Arranged vertically More in upper lid than in lower lid Modified sebaceous glands Open in eyelid margins Constitute the oily layer of tear film Internal Hordeolum is the infection of meibomian gland